The drug which is not suitable for patients with acute porphyria for intravenous induction is:
1. Thiopentone sodium
2. Propofol
3. Midazolam
4. Etomidate

Correct answer: 1. Thiopentone sodium

Explanation: Ans. is 'a' i.e., Thiopentone sodium It has been repeated so many times that barbiturates can induce fatal attacks of porphyria in patients with acute intermittent or variegate porphyria and are contraindicated in such patients.Also know